Acute diffuse proliferative glomerulonephritis will have all of the following features, except
1. Microscopic haematuria
2. Raised blood urea level
3. Raised serum creatinine level
4. Hypoalbuminaemia

Correct answer: 4. Hypoalbuminaemia

Explanation: Although proteinuria and even edema also may be present, these usually are not as severe as in the nephrotic syndrome. Robbins book of pathology. Kumar abbas aster. 9th edition. Page 529